Which among the following is not included in the triad of necrotizing enterocolitis?
1. Thrombocytopenia
2. Metabolic acidosis
3. Hyponatremia
4. Hypokalemia

Correct answer: 4. Hypokalemia

Explanation: of stage 3: a) Metabolic acidosis b) Thrombocytopenia c) Hyponatremia